Morrison's pouch is ?
1. Right subphrenic space
2. Right subhepatic space
3. Left subhepatic space
4. Left subphrenic space

Correct answer: 2. Right subhepatic space

Explanation: These spaces are just below diaphragm in relation to the liver.These space are :1) Intraperitoneal spaces are :-Left anterior space (left subphrenic space).Left posterior space (left subhepatic space or lesser sac).Right anterior space, (right subphrenic space).Right posterior space (right subhepatic space or hepatorenal pouch or Morrison's pouch).2) Extraperitoneal spaces are :-Right and left extraperitoneal spaces.Midline extraperitoneal space (Bare area of liver).